Follow is the marker of HIV infection in blood -
1. Reverse Transcriptase
2. DNA polymerase
3. RNA polymerase
4. None

Correct answer: 1. Reverse Transcriptase

Explanation: viral replicatin(indicate infectivity) detected by demonstration of reverse transcriptase REF:MICROBIOLOGY ANANTHA NARAYANAN NINTH EDITION PAGE.578